A patient presents with low serum calcium, high phosphorus and elevated PTH. Which of the following investigations is least contributory to establish a diagnosis -
1. Vitamin D levels
2. Serum creatinine levels
3. Cyclic AMP response to PTH
4. Urine myoglobin

Correct answer: 1. Vitamin D levels